Which of the following drug is contraindicated in variant angina?
1. Diltiazem
2. Nitrates
3. Propranolol
4. Verapamil

Correct answer: 3. Propranolol

Explanation: Variant angina is caused by coronary vasospasm DOC:Sublingual Nitroglycerine Prophylaxis : Calcium channel blockers (like verapamil and Diltiazem) and nitrates Beta blockers are avoided as they may precipitate coronary vasospasm by counteracting beta 2 mediated coronary vasodilation. Therefore they are avoided in variant angina.